Dyslipidemia associated with alcohol consumption-
1. Decreased HDL
2. Increased HDL
3. Decreased triglycerase
4. Decreased lipoprotein

Correct answer: 2. Increased HDL

Explanation: Dyslipidemia is an abnormal amount of lipids (e.g. triglycerides, cholesterol and/or fat phospholipids) in the blood. In developed countries, most dyslipidemias are hyperlipidemias; that is, an elevation of lipids in the blood. This is often due to diet and lifestyle. Prolonged elevation of insulin levels can also lead to dyslipidemia. Likewise, increased levels of O-GlcNAc transferase (OGT) may cause dyslipidemia. The most common conditions that were felt to be contributing to dyslipidemia were excessive alcohol intake (10 percent) and uncontrolled diabetes mellitus (8 percent). Hyperlipidemia in association with insulin resistance is common in patients with type 2 diabetes mellitus Dyslipidemia is a high level of lipids (cholesterol, triglycerides, or both) or a low high-density lipoprotein (HDL) cholesterol level. Lifestyle, genetics, disorders (such as low thyroid hormone levels or kidney disease), drugs, or a combination can contribute. Ref Davidson 23rd edition pg 838